Carpal tunnel contains all except
1. Median nerve
2. Flexor digitorum superficialis tendon
3. Flexor pollicus longus tendon
4. Flexor carpi ulnaris tendon

Correct answer: 4. Flexor carpi ulnaris tendon

Explanation: FLEXOR RETINACULUMCarpal tunnel.Transverse carpal ligament.Strong fibrous band which bridges anterior concavity of carpus and converts it into osseofibrous tunnel called carpal tunnel for the passage of flexor tendons of the digits.Rectangular.Formed due to thickening of deep fascia in front of carpal bones.Attachments: medial-pisiform, hook of hamate.Lateral-tubercle of scaphoid and crest of trapezium.Structures passing superficial to flexor retinaculum:-(medial to lateral)1. Ulnar nerve 2. Ulnar artery 3. Posterior cutaneous branch of ulnar nerve.4. Tendon of palmaris longus.5. Palmar cutaneous branch of median nerve.6. Superficial palmar branch of radial artery.Structures passing deep to flexor retinaculum:-1. Tendon of FDS2. Tendon of FDP 3. Tendon of FPL.4. median nerve.Ulnar bursa-tendons of FDS&FDP.Radial bursa- tendon of flexor pollicis Flexor carpi radialis pass through separate canal.{Reference: Vishram Singh pg. no.196}